Which is first and commonest clinical manifestation of Epidemic dropsy-
1. Bilateral swelling of legs
2. Gastrointestinal upsets
3. Cardiac decomposition
4. Sarcoid

Correct answer: 1. Bilateral swelling of legs

Explanation: Ans. is 'a' i.e., Bilateral swelling of legs